Boerhaave's syndrome is due to
1. Drug induced esophagus perforation
2. Corrosive injury
3. Spontaneous perforation
4. Gastro-esophageal reflux disease

Correct answer: 3. Spontaneous perforation

Explanation: BOERHAAVE'S syndrome is a tear in the lower third of oesophagus which occurs when a person vomits against a closed glottis, causing leaks into the mediastinum, pleural cavity, and peritoneum.site of perforation is about 2-10 cm of posterolateral part of the lower oesophagus.investigations include chest Xray, MRI/CT, and total count.treatment includes feeding by jejunostomy, surgery with resection. Ref: SRB's manual of surgery,5th ed, pg no 802